A 60 years old Female with intermittent bleeding per vagina, endometrial collection and with thickening and anterior bulging of the fundal area on ultrasound showing a Feeding Vessel sign. What is the most probable diagnosis?
1. Endometrial Polyp
2. Endometrial Cancer
3. Submucous Fibroid
4. Endometriosis

Correct answer: 1. Endometrial Polyp

Explanation: Benign endometrial polypscan occur at any age but they are more common after age of 50. They are a common cause ofpostmenopausal bleedingand are often seen in patients taking tamoxifen. They are homogeneous, isoechoic and continuous with the endometrium and preserve the endomyometrial interface. They are centrally cystic, corresponding to dilated, fluid-filled glands. Colour Doppler may reveal a characteristic feeding vessel